The following are the features of Marfan's syndrome except -
1. Arachnodactyly
2. Reduced joint mobility
3. Dislocation of the lens
4. Mitral regurgitation

Correct answer: 2. Reduced joint mobility

Explanation: Ans. is 'b' i.e., Reduced joint mobility There is hypermobility at joints.